Direct Fick method of measuring cardiac output requires estimation of
1. O2 content of arterial blood
2. O2 content of venous blood
3. O2 consumption per unit time
4. All of the above

Correct answer: 4. All of the above

Explanation: Applying Fick's principle Output of left ventricle =Cardiac output= O2 consumption (mL/min)/ - Therefore this method requires the following valuesO2 consumption per unit time=Arterial O2 content =Venous o2 contentRef: Ganong's Review of Medical Physiology Twenty-Third Edition Page No:513